The diagnostic test for rickettsial infection is:
1. Weil-felix reaction
2. WIDAL
3. Sabin test
4. Culture

Correct answer: 1. Weil-felix reaction

Explanation: Weil-felix reaction